All are true about human mitochondrial DNA except
1. Circular
2. AGA is stop codon
3. Low mutation rate
4. Very few untranslated sequences

Correct answer: 3. Low mutation rate

Explanation: Major Features of Human Mitochondrial DNA Is circular, double-stranded, and composed of heavy (H) and light (L) chains or strands Encodes 13 protein subunits of the respiratory chain (of a total of about 67) Encodes large (16S) and small (12S) mt ribosomal RNAs Encodes 22 mt tRNA molecules Genetic code differs slightly from the standard code UGA (standard stop codon) is read as Trp AGA and AGG (standard codons for Arg) are read as stop codons Contains very few untranslated sequences High mutation rate (5-10 times that of nuclear DNA) Comparisons of mtDNA sequences provide evidence about evolutionary origins of primates and other species Harper30e pg: 378